Who among the following introduced the concept of relationship of environment with roman health?
1. Hippocrates
2. Louis Pasteur
3. David Moley
4. Ambroise Pare

Correct answer: 1. Hippocrates

Explanation: Ans. is 'a' i.e., Hippocrates Hippocrates is considered as Fathers of Modern Medicine.He introduced the concept of human health being closely related to environment